Earliest sign of deep vein thrombosis is
1. Calf tenderness
2. Rise in temperature
3. Swelling of calf muscle
4. Homan's sign

Correct answer: 1. Calf tenderness